The following site is commonly involved in cases of Myositis ossiﬁcans:
1. Masseter
2. Hyoglossus
3. Stylohyoid
4. Lateral pterygoid

Correct answer: 1. Masseter

Explanation: Myositis ossiﬁcans manifests by masses of ﬁbrous tissue and bone in the interstitial tissues of muscle, leading to atrophy and destruction of associated muscles. Masseter is commonly involved in face and ﬁxation of jaw occurs. The patient becomes transformed into rigid, like a "petriﬁed man'.